Median value for the given data 5, 5, 50, 150, 10, 20?
1. 15
2. 10
3. 20
4. 40

Correct answer: 1. 15

Explanation: Ans. is 'a' i.e., 15